Nonprofessional antigen presenting cell is A/E -
1. Endothelial cell
2. Epidermal cell
3. Fibroblasts
4. Red blood cells

Correct answer: 4. Red blood cells

Explanation: Ans. is 'd' i.e., Red blood cells Non-professional antigen presenting cello A non-professional APC does not constitutively express the Major Histocompatibility Complex class II (MHC class II) proteins required for interaction with naive T cells; these are expressed only upon stimulation of the non- professional APC by certain cytokines such as IFN-g.o All nucleated cells express the Major Histocompatibility Complex class I necessary to be considered a non- professional APC.o As erythrocytes do not have a nucleus, they are one of the few cells in the body that cannot display antigens.